Microscopically epimyoepithelial islands are typically seen in
1. Sjogren's syndrome
2. Mucoepidermoid carcinoma
3. Epithelial-myoepithelial carcinoma
4. Myoepithelioma

Correct answer: 1. Sjogren's syndrome